Earliest manifestation of diabetic retinopathy is
1. Soft exudates/Cotton wool spot
2. Dot haemorrhage
3. Hard exudates
4. Microaneurysm

Correct answer: 4. Microaneurysm

Explanation: D i.e. Microaneurysm Microaneurysms are located in the inner nuclear layer and are the earliest and most characteristic ocular lesion Q of diabetic retinopathy.